A 9 year old child disturbs other people, is destructive, interferes when two people are talking, does not follow instructions and cannot wait for his turn while playing a game. He is likely to be suffering from:
1. Emotional disorders
2. Behavioral problems
3. No disorder
4. Attention deficit hyperactivity disorder

Correct answer: 4. Attention deficit hyperactivity disorder

Explanation: This child has symptoms of hyperactivity and impulsivity and the most likely diagnosis would be attention deficit hyperactivity disorder. Symptoms of ADHD: - Inattention - Hyperactivity - Impulsivity - Other symptoms- Destructive behavior, irritability, and aggression.